N K cells activity is enhanced by-
1. IL-1
2. TNF
3. IL-2
4. TGP-b

Correct answer: 3. IL-2

Explanation: Interleukin 2 activates NK cells. Interleukin-2 (IL-2) is an interleukin, a type of cytokine signaling molecule in the immune system. It is a 15.5 - 16 kDa proteinthat regulates the activities of white blood cells (leukocytes, often lymphocytes) that are responsible for immunity. IL-2 is part of the body's natural response to microbialinfection, and in discriminating between foreign ("non-self") and "self". IL-2 mediates its effects by binding to IL-2 receptors, which are expressed by lymphocytes. The major sources of IL-2 are activated CD4+ T cells, activated CD8+ T cells, NK cells, and dendritic cells Basic Pathology, Robbins. Page no.: 206